Serous papillary cystadenocarcinomas of the ovaries express
1. CA-125
2. CA-19
3. CEA
4. AFP

Correct answer: 1. CA-125

Explanation: CA-125